Culture media used for diagnosis of EHEC 0157 : H7 is:
1. O7 culture
2. Sorbitol MacConkey media
3. XLD Agar
4. Deoxycholate Media

Correct answer: 2. Sorbitol MacConkey media

Explanation: Non- DNA- dependent methods are used for routine diaggnosis of EHEC 0157: H7. This serotype is suggested by isolation of an E-coli that fails to fermant sorbitol on MacConkey sorbitol; latex aggulination confirms. Ref: Kliegman, Behrman, Jenson, Stanton (2008), "Nelson textbook of Pediatrics", Chapter 197, "Escherichia coli", Volume 1, Page 1196; Textbook of Microbiology By Ananihnarayanan, 7th Edition, Page 279; Medical Microbiology By Jawetz, 24th Edition, Page 254; Current Diagnosis and Treatment in Infectious Diseases, 11th Edition, Page 550